Which of the following is the most likely reason for pharmacokinetic tolerance?
1. changes in absorption
2. changes in distribution
3. changes specific to that drug
4. changes in metabolism

Correct answer: 4. changes in metabolism

Explanation: The most common cause of pharmacokinetic tolerance is an increase in the metabolism of the drug. Since these same enzymes can then metabolize other drugs, this kind of tolerance is not necessarily specific to the drug that induced it.